The most important factor controlling the rate of mitochondrial oxidative phosphorylation is the:
1. Concentration of inorganic phosphate.
2. Concentration of O2.
3. Number of protons pumped.
4. Level of ADP.

Correct answer: 4. Level of ADP.

Explanation: Respiratory control refers to the regulation of oxidative phosphorylation by the cellular ADP levels. Electrons do not flow through the electron transport chain to O2 unless ADP is simultaneously phosphorylated to ATP. This only occurs when there is a need to synthesize ATP. The rate of O2 use increases significantly in experiments where ADP is added to isolated mitochondria. Oxidative phosphorylation requires NADH, O2, ADP, and Pi, but ADP is the most important in terms of regulation. ADP increases as ATP is utilized, therefore, high ADP indicates low energy charge in the cell. Ref: Botham K.M., Mayes P.A. (2011). Chapter 13. The Respiratory Chain & Oxidative Phosphorylation. In D.A. Bender, K.M. Botham, P.A. Weil, P.J. Kennelly, R.K. Murray, V.W. Rodwell (Eds), Harper's Illustrated Biochemistry, 29e.